Ring scotoma is seen in
1. High myopia
2. Pseudophakia
3. Hypermetropia
4. Astigmatism

Correct answer: 1. High myopia

Explanation: (Refer: AK Khurana Comprehensive Ophthalmology, 6th edition, pg no. 233) The scotoma is a defect in the visual field and corresponds to the degenerated zones of the retinaAnnular or ring-shaped scotoma is a typical feature which corresponds to the degenerated equatorial zone of the retinaRing scotoma is seen in retinitis pigmentosa, high myopia, POAG, aphakic spectacle correction and after panretinal photocoagulation.